Regarding leflunomide in pregnancy all are true except
1. Cause hydrocephalus and skeletal anomalies in fetus
2. Pyrimidine synthesis inhibitor
3. Its active metabolite can be detected in plasma for upto 2 years after dis continuation
4. Used to treat Rheumatoid arthritis in pregnancy

Correct answer: 4. Used to treat Rheumatoid arthritis in pregnancy

Explanation: Leflunomide, is used to treat Rheumatoid arthritis, but is contraindicated in pregnancy.